Which of the following is the only posterior dental cross
bite?
1. Maxillary anterior alveolus is overlapped by mandibular anterior alveolus
2. Mandibular posterior jaw segment is displaced to overlap maxillary posterior jaw segment
3. Maxillary posterior dental segment is overlapped by the mandibular posterior teeth
4. None of the above

Correct answer: 3. Maxillary posterior dental segment is overlapped by the mandibular posterior teeth